In Chronic Hepatitis B (HBV) infection presence of HBeAg (Hepatitis B e antigen) suggests which of the following?
1. Ongoing viral replication
2. Resolving infection
3. Development of cirrhosis
4. Development of Hepatoma

Correct answer: 1. Ongoing viral replication

Explanation: Ans. (a) Ongoing viral replication(Ref: R 9th/pg 831-832)HBeAgThe principal clinical usefulness of HBeAg is as an indicator of relative infectivity.HBeAg, HBV-DNA & DNA polymerase appear in serum soon after HBsAg, and all signify active viral replication.Persistence of HBeAg is an important indicator of continued viral replication, infectivity, and probable progression to chronic hepatitis.The appearance of anti-HBe antibodies implies that an acute infection has peaked and is on the decline.